Drug used to reverse the effect of dtubocurarine is:
1. Neostigmine
2. Physostigmine
3. Dantrolene
4. Scoline

Correct answer: 1. Neostigmine

Explanation: Neostigmine